In trichomonas - vaginalis :
1. Greenish discharge
2. White curdy discharge
3. Blood stained discharge
4. Milky discharge

Correct answer: 1. Greenish discharge

Explanation: Greenish discharge